1Triad of ectopic pregnancy are all EXCEPT:
1. Vomiting
2. Bleeding
3. Abdominal pain
4. Amenorrhea

Correct answer: 1. Vomiting

Explanation: Ans. (a) VomitingRef: Dutta Obs 7/e 182; William Obs 22/e 258CLASSIC TRIAD OF ECTOPIC* Pain+ Amenorrhea+ Bleeding per vaginum Triad is present only in 50% case of ectopic* M.C/Consistent finding of Ectopic ->painSymptoms* Nausea & Vomiting* Lower Abdom. pain/generalized Abdom pain* Shoulder tip pain Syncopal attacks